Some fungi have two different morphological forms, yeast and molds. If they do, it is likely that:
1. The yeast form appears in the environment, the mold form in tissue
2. The mold form appears in the environment, the yeast form in tissue
3. Both forms appear in tissue
4. Neither form appears in tissue since these are nonpathogenic organisms

Correct answer: 2. The mold form appears in the environment, the yeast form in tissue

Explanation: Dimorphic fungi Shows typical thermal dimorphism. They are hyaline septate molds at 25degC-28deg C (in environment) and yeast at 37degC (tissues). Always endemic Eg : Sporothrix scheinckii Penicillium marneffi Histoplasma capsulatum Blastomyces Coccidomyces Paracoccidiomyces